After bilateral vasectomy which of the following substance deficiency is seen?
1. Fructose
2. Prostaglandin
3. Fibrinolysin
4. None

Correct answer: 4. None

Explanation: A vasectomy is a surgical procedure performed on males in which the vas deferens (tubes that carry sperm from the testicles to the seminal vesicles) are cut, tied, cauterized (burned or seared) or otherwise interrupted. The semen no longer contains sperm after the tubes are cut, so conception cannot occur. The testicles continue to produce sperm, but they die and are absorbed by the body.Ref: Ganong's review of medical physiology; 24th edition; page no:-423